An obsessive compulsive neurosis patient is likely to develop
1. Hallucination
2. Depression
3. Delusion
4. Schizophrenia

Correct answer: 2. Depression

Explanation: B i.e. DepressionDepression is most common psychological feature in: * OCN leads to secondary depressionQAIDSQ * Pseudo dementia & Nihilistic delusionsPost paumQ/ Post myocardial infarctionQ are seen in depressionQPost surgeryMyxedema